Absolute contraindication of combined oral contraceptive pill is -
1. Epilepsy
2. Obesity
3. Smoking 10 cigars/day
4. Active liver disease

Correct answer: 4. Active liver disease

Explanation: Ans. is 'd' i.e., Active liver disease Contraindications of OCPs (WHO guidelines) Absolute : (1) Thromboembolism event, cerebrovascular accident, coronary artery disease, (2) Breast cancer, (3) DM (> 20 years duration), (4) Impending major surgery, (5) Hyperlipidemia, (6) Pregnancy, (7) Lactation (< 6 weeks post partum), (8) Active liver disease, hepatoma (9) Uncontrolled hypertension or with vascular diseases, (10) > 35 years old and heavy smoker (> 20 cigarretes/day), (11) Migraine with aura, (12) Diabetic nepropathy/neuropathy/ retiopathy, and (13) structural heart disease with pulmonary hypertension, AF or SABE. Relative : (1) Lactation (6 weeks - 6 months), (2) Controlled hypertension, (3) Undiagnosed vaginal bleeding, (4) Magraine without aura, (5) Gall bladder disease, (6) Age > 35 years and light smoker (< 20 cigarretes/day), (7) DM with vascular complications.